The most common manifestation of osteoporosis is:
1. Compression fracture of the spine
2. Asymptomatic, detected incidentally by low serum Calcium
3. Bowing of legs
4. Loss of weight

Correct answer: 1. Compression fracture of the spine

Explanation: Answer is A (Compression fracture of the spine) : It most commonly presents as backache of varying degrees of severity. This backache is due to spontaneous fracture or collapse of vertebra. Osteoporosis is defined as a reduction of bone mass or density, sufficient to increase the risk offracture. Osteoporosis is usually asymptomatic until fracture occurs (but serum Calcium is normal Q). Serum parathyroid hormone, 25-(OH) D2, Calcium, Phosphorus and Alkaline phosphatase are usually normal.